Centromere near the end of chromosome
1. Acrocentric
2. Metacentric
3. Submetacentric
4. Telocentric

Correct answer: 1. Acrocentric

Explanation: Acrocentric REF: Precid & Strachan Molecular genetics, page 49, 153, http://en.wikipedia.org/wiki/ CentromereCentromere positionsEach chromosome has two arms, labeled p (the shorter of the two) and q (the longer). The p arm is named for "petit" meaning `small'; the q arm is named q simply because it follows p in the alphabet. ("q" refers to the French word "queue" meaning 'tail')Metacentric: A chromosome is metacentric if its two arms are roughly equal in length. In some cases, a metacentric chromosome is formed by balanced Robertsonian translocation: the fusion of two acrocentric chromosomes to form one metacentric chromosome. Example 1, 3, 16, 19, 20.Submetacentric: If arms' lengths are unequal, the chromosome is said to be Submetacentric. Example-X chromosome, 2, 4, 12 , 17, 18Acrocentric: If the p (short) arm is so short that is hard to observe, but still present, then the chromosome is acrocentric (The "acro-" in acrocentric refers to the Greek word for "peak"). The human genome includes acrocentric Y-chromosomes, 13, 14, 15, 21 and 22Telocentric: A telocentric chromosome's centromere is